Which of the following characteristics is not of much importance in a screening test -
1. Low cost
2. High safety margin
3. High sensitivity
4. High specificity

Correct answer: 4. High specificity

Explanation: Ans. is 'd' i.e., High specificity o All are important attributes of screening test but among them high specificity is less important as Park states -"Screening test is not intended to be a diagnostic test. It is only an initial examination. Those who are found to have positive test results are referred to a physician for further diagnostic work-up & treatment. High specificity is a necessary attribute for a diagnostic test. Criteria for Screening test Screening test must satisfy the criteria of Acceptability Safety Repeatability Rapidity Validity Ease of administration Simplicity Low cost